Rhinophyma complicates-
1. Acne vulgais
2. Acne rosacea
3. Psoriasis
4. Phemphigus

Correct answer: 2. Acne rosacea